Alpha feto protein levels are increased in all EXCEPT:
1. Open neural tube defects
2. Down syndrome
3. Twin pregnancy
4. Intrauterine death

Correct answer: 2. Down syndrome

Explanation: AFP is measured in pregnant women through the analysis of maternal blood or amniotic fluid, as a screening test for a subset of developmental abnormalities: it is principally increased in open neural tube defects and omphalocele and is decreased in Down syndrome.